Which of the following agents is used for day care surgery
1. Propofol
2. Thiopentone
3. Diazepam
4. Ketamine

Correct answer: 1. Propofol

Explanation: Refer Katzung 12th/440 Propofol is drug of choice for day care surgery